The Children's Act was passed in:
1. 1960
2. 1969
3. 1971
4. 1986

Correct answer: 1. 1960

Explanation: Important Acts in Public health: (Related to child health) Year The Vaccination Act 1880 The child Marriage Restraint (SARD(A) Act 1929 The children's Act 1960 The Registration of Births and deaths Act 1969 The infant Milk substitutes, Feeding Bottles and Infant Food (Regulation of production, supply and distribution) Act 1992 The pre-conception and prenatal Diagnostic Techniques (Prohibition of sex selection) Act 1994 Ref: Park 25th edition Pgno: 726